The infectivity of chicken pox lasts for
1. Till the last scab falls
2. 6 days after onset of rash
3. 3 days after onset of rash
4. Till the fever subsides

Correct answer: 2. 6 days after onset of rash

Explanation: Period of communicability: Chicken pox: 1-2 days before to 4-5 days after appearance of rash. Measles: 4 days before to 5 days after appearance of rash. Diphtheria: 14-28 days from disease onset Poliomyelitis: 7-10 days before and after onset of symptoms. CHICKEN POX: Also known as 'Varicella' Causative agent: Varicella Zoster Virus (Human (alpha) Herpes Virus-3) Secondary attack rate: 90% Incubation period : 14-16 days. Rash : Chicken Pox rash Small pox Rash Dew drops on rose petal appearance Centripetal distribution Pleomorphic rash No dew drop Centrifugal distribution Non-pleomorphic MC late complication of chicken pox: Shingles (caused by reactivation of the virus decades after the initial episode of chicken pox) Aspirin must not be given to children with chicken pox: Risk of Reye Syndrome. Strain of live attenuated chicken pox vaccine: OKA strain Congenital Varicella: Most threatening if transmitted in 1st trimester of pregnancy. Ref: Park 25th edition Pgno: 157